What supplies ammonia to liver ?
1. Arginine
2. Alanine
3. Lactate
4. Pyruvate

Correct answer: 2. Alanine

Explanation: Ans. is 'b' i.e., Alanine Transport of alanine from muscle to liver (glucose-alanine cycle) has two functions :?Providing substrate for gluconeogenesisTransport of ammonia (NH4+) to liver for urea synthesis.